Renal involvement is seen in which of the following infections?
1. Cytomegalovirus
2. HIV
3. HBV
4. All of the above

Correct answer: 4. All of the above

Explanation: Cytomegalo virus(CMV) is the largest virus in the herpes family. It is transmitted trans-placentally from a latent mother to foetus. Postnatal infections are usually acquired by means of sexual intercourse, blood transmission and organ transplantation, clinical disease resembles infectious mononucleosis . It may cause hepatitis and pneumonitis. Cytomegalovirus (CMV) is an important cause of renal transplantation complications. It can cause different syndromes or end-organ diseases that can lead to unfavourable clinical outcomes and kidney allograft dysfunction.
Hepatitis B virus belong to hepadnaviridae, onset of the virus is slow and the incubation period varies from 6 months to 6 weeks. Extrahepatic manifestations of HBV can be present as glomerulonephritis, vasculitis, or reactive arthritis .
HIV are RNA virus that contain reverse transcriptase which prepare a DNA copy of the RNA genome in the host cell HIV infection, can damage the kidneys and lead to kidney disease. High blood pressure and diabetes are the leading causes of kidney disease. In people with HIV, poorly controlled HIV infection and co-infection with the hepatitis C virus (HCV) also increase the risk of kidney disease.
Ref : textbook of microbiology, C P Baveja, 5th edition , Pg no:509,497,443